Ethosuximide can be used for the treatment of
1. Generalized tonic clonic seizure
2. Absence seizures
3. Complex seizures
4. Myoclonic seizures

Correct answer: 2. Absence seizures

Explanation: The only indication for ethosuximide is absence ccizures; in that also it has been superseded by valproate. ::ON: 20-30 mg/kg/day; ZARONTIN 250 mg/5 ml yr. Ref: KD TRIPATHI 8th ed.